Which is the COMMONEST degenerative change that is observed in a uterine myoma?
1. Red degeneration
2. Hyaline degeneration
3. Malignant change
4. Haemorrhage

Correct answer: 2. Hyaline degeneration

Explanation: The typical appearance of leiomyomas may change if normal muscle tissue is replaced with various degenerative substances following hemorrhage and necrosis. This process is collectively termed degeneration, and the replacement substances dictate the naming of these degenerative types. Forms include hyaline, calcified, cystic, myxoid, carneous or red, and fatty. Hyaline degeneration is the most common form of degeneration that can occur in a uterine leiomyoma. It is thought to occur in up to 60% of uterine leiomyomas. As with many other types of degeneration, it happens when fibroids outgrow their blood supply. Hyaline degeneration involves the presence of homogeneous eosinophilic bands or plaques in the extracellular space, which represent accumulation of proteinaceous tissue. Ref: Hoffman B.L., Schorge J.O., Schaffer J.I., Halvorson L.M., Bradshaw K.D., Cunningham F.G., Calver L.E. (2012). Chapter 9. Pelvic Mass. In B.L. Hoffman, J.O. Schorge, J.I. Schaffer, L.M. Halvorson, K.D. Bradshaw, F.G. Cunningham, L.E. Calver (Eds), Williams Gynecology, 2e.